Allopurinol specifically inhibits
1. Xanthine oxidase
2. Arginase
3. Carbamoyl transferase
4. Urease

Correct answer: 1. Xanthine oxidase

Explanation: Ans. a (Xanthine oxidase). (Ref. Harrison's Medicine 18th /Chapter 359.)ALLOPURINOL# Allopurinol is competitive inhibitor of xanthine oxidase.# Specific treatment of uric acid calculi requires reducing the urine uric acid concentration with a xanthine oxidase inhibitor, such as allopurinol or febuxostat.# It leads to rise in levels of water-soluble compounds - xanthine & hypoxanthine.# It inhibits degradation of 6-MP & azathioprine & therefore their dose should be reduced by 75%.# It is used only in "Chronic gout"# It is contraindicated in pregnancy, lactation, & hypersensitive patients.